Lymphatic drainage of anterior part of nose is to?
1. Submandibular LN
2. Parotid
3. Pretracheal LN
4. Retropharyngeal LN

Correct answer: 1. Submandibular LN

Explanation: Ans. is 'a' i.e., Submandibular LNAnetrior half of nasal cavity (including anterior part of nasal septum) drains into submandibular nodes. Submandibular nodes These nodes lie deep to investing layer of deep cervical fascia in submandibular triangle, between the deep fascia and submandibular gland.These nodes receive afferents from centre of forehead; anterior part of nasal cavity; frontal, maxillary and ethmoidal air sinuses; inner canthus (medial angle of eye); whole of upper lip and anterior part of cheek with underlying gum and teeth; outer part of lower lip with lower gums and teeth excluding incisors; anterior two third of tongue excluding the tip; floor of mouth; and angle of mouth.These nodes also receives efferents of submental nodes.Submandibular nodes drain into (efferent) upper and lower deep cervical nodes.